Tumour arising from Rathke's pouch is
1. Meningioma
2. Glioma
3. Craniopharyngioma
4. Ependymoma

Correct answer: 3. Craniopharyngioma

Explanation: Rathke's pouch develop at the roof of oral cavity from surface ectoderm to form most of pituitary . Posterior pituitary develops from diencephalon. Craniopharyngioma is a tumor that develop in the sella turcica.